Most common cause of intracranial haemorrhage is:
1. Sub arachnoid haemorrhage
2. Intracerebral hemorrhage
3. Subdural haemorrhage
4. Extradural haemorrhage

Correct answer: 2. Intracerebral hemorrhage

Explanation: Ans. is 'b' Intracerebral Haemorrhage Intracerebral hemorrhage is the most common type of intracranial hemorrhage.Most common cause of intraparenchymal hemorrhage is hypertension* Most common artery involved in intraparenchymal hemorrhage -Lenticulostriate arteries*Most common site of intracerebral hemorrhage due to hypertension - Basal ganglia* (Putamen, thalamus and adjacent deep white matter).